Asper WHO guidelines, iodine deficiency disorders are endemic in the community when prevalence of goitre in school age children is more than -
1. 1%
2. 5%
3. 10%
4. 15%

Correct answer: 2. 5%

Explanation: Ans. is 'b' i.e., 5%